The arterial blood glucose concentration in normal humans after a meal is in the range of
1. 30 to 50 mg/dL
2. 50 to 70 mg/dL
3. 120 to 150 mg/dL
4. 220 to 250 mg/dL

Correct answer: 3. 120 to 150 mg/dL